A permanent staining of teeth may be produced in infants due to the administration of following in pregnancy
1. Tetracyclines
2. Chloramphenicol
3. Erythromycin
4. Amoxycillin

Correct answer: 1. Tetracyclines

Explanation: (A) Tetracyclines # Tetracyclines are contraindicated in children > 8 years of age because of mottling of the permanent teeth; doxycycline may be less likely than the other tetracyclines to cause this problem.> Worsening of renal function in patients with preexisting renal dysfunction has been reported with use of tetracycline.> Doxycycline & perhaps Minocycline appear to be free from these renal side effects. Alternative effective agents are nearly always available for use in patients with renal dysfunction. Minocycline can cause vertigo in up to 70% of women receiving therapeutic doses and in a lower percentage of men.